Bacteria divide rapidly in:
1. Log phase
2. Lag phase
3. Stationary phase
4. Decline phase

Correct answer: 1. Log phase

Explanation: Ans. A. Log phaseLag phase: Max cell size, preparation for growth; log phase: Minimum cell size, rapid cell division, antibiotics act of log phase; stationary phase: Productions of exotoxins, spores, antibiotics, granules; decline phase: Bacterial death, release of endotoxins, poor Gram stain reaction